Which one of the following is a major component in activation of the complement alternative pathway:
1. C1
2. C2
3. C3
4. C4

Correct answer: 3. C3

Explanation: - Alternate complement pathway Activators factor- Cobra venom , Properidin ,nephritic - C3b , Bb - C3 convertase of alternate complement pathway - C5 - C9 is MAC (membrane attack complex) - C1,4,2 are not consumed in the alternate complement pathway